Schiller - Duval bodies are seen in-
1. Teratoma
2. Seminoma
3. Yolk sac tumour
4. Chorio - carcinoma

Correct answer: 3. Yolk sac tumour

Explanation: Yolk sac tumor (endodermal sinus tumor or infantile embryonal carcinoma) → Schiller - Duval bodies.
Leydig (interstitial) cell tumor → Reinke crystalloids.
Note : - Rienke crystals are also seen in the hilus cell tumor of ovary.